A case of carcinoma breast stage-IV TNM. Which of the factors is not included in staging?
1. Satellite nodules
2. Inflammation
3. Nipple retraction
4. Skin ulceration

Correct answer: 3. Nipple retraction

Explanation: In Stage IV TNM of carcinoma of breast, malignancy has spread to chest wall, there is evidence of inflammation, satellite lesions and ulcerations.